Optimum oxygenation is maintained by adjusting following parameters
a — Tidal volume,b — PEEP,c — FiO2,d — respiratory rate
1. a, b
2. b, c
3. c, d
4. d, a

Correct answer: 2. b, c

Explanation: PEEP and FiO2 determine optimum oxygenation.